Children borne by female at the end of reproductive period is -
1. TFR
2. NRR
3. BR
4. None

Correct answer: 1. TFR

Explanation: Ans. is 'a' i.e., TFR Total fertility rateo Total fertility rate represents the average number of children, a woman would have if she were to pass through her reproductive years, bearing children at the same rates, as the women now in each age group,o It is computed by summing the age specific fertility rates for all ages.o It gives the approximate magnitude of the completed family size.Birth Rate =(no. of live birth during the vr/mid yr population) x 1000Crude Death Rate =(no.of deaths during the yr/ mid yr population) x 1000General Fertility Rate=(no. of live birth during the yr/mid yr female population age 15-44) x 1000General Marital Fertility Rate =(no. of live births during the yr: mid yr married female population ) x 1000Case Fatality Rate=(No of deaths due to a ds/'no of cases due to the same ds) x 100Maternal Mortality Rate =(Total no. of female deaths d/t complication of pregnancy, child birth or within 42 days of delivery from puerperal causes total no. of live birth) x 1000Still birth rate=(Foetal deaths weighing over 1000gm i.e equivalent to 28 wks of gestation)/ (total live birth + still births over 1000 gms) x ] 000)Perinatal Mortality Rate =(Foetal deaths weighing over 1000 gms i.e 28 wks gestation or more + early neonatal death within 7 days of b\rth)!{total no. of live birth) x 1000Infant Mortality Rate=(No. of deaths of infants/no. of live births) x 1000Neonatal Mortality Rate =(no. of deaths of neonate/No. of live births) x 1000Under 5 mortality rate or child mortality rate =(no. of deaths of children less than 5 yrs of age in a given yearIno. of live birth)x 10001-4 year mortality rate=(No. of deaths of children aged 1 -4 yrs during a year.' total no. ofchildren aged 1-4 yrs at the middle of the year) x 1000